Which is of the following is an obstructive lung disease:
1. Bronchial asthma
2. Chronic bronchitis
3. Bronchoectasis
4. All of the above

Correct answer: 4. All of the above

Explanation: Ans. D: All of the aboveObstructive/airway disease is characterized by an increase in resistance to airflow due to partial or complete obstruction at any level, from the trachea and larger bronchi to the terminal and respiratory bronchioles.Chronic bronchitisBronchiectasisAsthmaEmphysemaSmall-airway disease, bronchiolitisRestrictive lung disease is characterized by reduced expansion of lung parenchyma and decreased total lung capacity. It occurs in two general conditions:Chest wall disorders (polio, severe obesity, pleural diseases and kyphoscoliosis)Chronic interstitial and infiltrative diseases, such as pneumoconioses and interstitial fibrosis.